Erythroderma is related with all of the following except:
1. Lepromatous leprosy
2. Psoriasis
3. Air-borne dermatitis
4. Sulfonamides

Correct answer: 1. Lepromatous leprosy

Explanation: Ans. A: Lepromatous Leprosy Erythroderma can arise from a variety of causes, most often as an extension of a pre-existing skin Erythroderma/exfoliative dermatitis may also be due to an adverse drug reaction. However, in as many as 30% of all cases of erythroderma, no underlying cause can be found. erythroderma. The most common pre-existing dermatoses to result in erythroderma include: Dermatitis especially atopic dermatitis, contact dermatitis (allergic or irritant) and eczema) and in babies, seborrhoeic dermatitis Psoriasis Pityriasis rubra pilaris Blistering diseases including pemphigus and bullous pemphigoid Cutaneous T-cell lymphoma (Sezary syndrome) Erythroderma may also be a symptom or sign of a systemic disease. These may include: Internal malignancies e.g. carcinoma of rectum, lung, fallopian tubes, colon Haematological malignancies e.g. lymphoma, leukaemia Graft vs Host disease HIV infection Drugs such as: Sulfonamides Penicillin Barbiturates Carbamazepine Isoniazid Gold Phenylbutazone